The most common cause of pulsating exophthalmos is:
1. Orbital varices
2. Neurofibromatosis
3. Cavernous haemangioma
4. Caroticocavernous fistula

Correct answer: 4. Caroticocavernous fistula

Explanation: Ans. Caroticocavernous fistula